Orbital septum formed by?
1. Palpebral ligament
2. Lacrimal bone
3. Optic nerve fascia
4. Optic sheath

Correct answer: 1. Palpebral ligament

Explanation: The palpebral fascia is the thin fibrous membrane that connects the tarsi ( two thin plates of condensed fibrous tissue that form the skeleton of the eyelids and provide them stiffness) to the orbital margins and forms the orbital septum with them. Medially it passes posterior to the lacrimal sac and attached to the posterior margin of the lacrimal groove that lodges the lacrimal sac.The upper palpebral fascia in the upper eyelid is pierced by the fibres of levator palpebrae superioris, palpebral part of lacrimal gland and nerves and vessels that pass from orbit to the face.Reference: Textbook of anatomy, Head neck, and Brain, Vishram Singh, 2nd edition, page no.62